Which cranial nerve carries parasympathetic fibers?
1. Vagus nerve
2. Trigeminal nerve
3. Hypoglossal nerve
4. Abducent nerve

Correct answer: 1. Vagus nerve

Explanation: Ans. A. Vagus nerveThe only cranial nerves that transmit parasympathetic fibers are the oculomotor, facial, glossopharyngeal, and vagus nerves.Parasympathetic flow is cranio-sacral flow carried by cranial nerves: 3,7,9,10 and the sacral nerves: S-2,3,4. These nerves carry the preganglionic fibres to their respective ganglia.